Which virus causes hepatocellular carcinoma -
1. Arbo
2. Herpes
3. Hepatitis-A
4. Hepatitis-B

Correct answer: 4. Hepatitis-B

Explanation: Ans. is 'd' i.e., Hepatitis-B o Hepatitis-B and hepatitis-C can cause hepatocellular carcinoma.